Electron transport from cytochrome 'b' to cytochrome 'c' is inhibited by
1. Oligomycin
2. Antimycin
3. Piericidin
4. Carbon monoxide

Correct answer: 2. Antimycin

Explanation: Site II: This involves the transfer of electrons from Cytb-Cyt-c1. This step, as well as the previous one, is bypassed in the oxidation of L-ascorbate whose electrons are directly transferred to Cyt-c. This step is blocked by BAL, Antimycin A, Hypoglycaemic drug like phenformin.Ref: MN Chatterjea Textbook of Medical Biochemistry, 8th edition, page no: 143